The glands of Blandin and Nuhn are
1. The posterior lingual glands
2. The anterior lingual glands located near the apex of tongue
3. The glossopalatine glands
4. The palatine glands

Correct answer: 2. The anterior lingual glands located near the apex of tongue